On otological examination, all of the following will have positive fistula test, EXCEPT:
1. Dead ear
2. Labyrinthine fistula
3. Hypermobile stapes footplate
4. Following fenestration surgery

Correct answer: 1. Dead ear

Explanation: In a positive fistula test, a pressure change in the external ear canal is transmitted to the labyrinth by an abnormal opening thereby producing nystagmus and vertigo. It also implies that the labyrinth is still functioning, and is absent when labyrinth is dead. The abnormal opening caused by a cholesteatoma eroding into the horizontal semicircular canal, following fenestrating operations and rupture of round window membrane are associated with positive fistula test. Hypermobile stapes footplate is associated with false positive fistula test.